Amniocentesis is best diagnostic if done in....................weeks :
1. 10-Aug
2. 14-Dec
3. 16-18
4. 20-22

Correct answer: 3. 16-18

Explanation: 16-18